Which among the following statements is false?
1. Muramic acid is not present in the cell wall of Eukaryotes
2. Extra-chromosomal DNA is present in mitochondria in Eukaryotes
3. 80S ribosome is present in prokaryotes
4. Multiple linear chromosomes present in Eukaryotes

Correct answer: 3. 80S ribosome is present in prokaryotes

Explanation: Different betweenProkaryotes and Eukaryotes PROKARYOTES EUKARYOTES Nuclear membrane absent Nuclear membrane well defined Cytoplasmic structures absent e.g. Mitochondria, Lysosomes, Golgi apparatus, and endoplasmic reticulum are absent. All these cell organelles are present In cell wall muramic acid & diaminopimelic acids (DAPA) present Both absent in cell wall No sterols in cell membrane Sterols present in cell membrane Eg-bacteria, blue-green algae Fungi, protozoa, slime moulds Site of respiration - Mesosomes Mitochondria Ribosomes--protein production site - 70S (50S + 30S), free in cytoplasm or bound to cell membrane Ribosomes--protein production site - 80S (60S + 40S), attached to rough endoplasmic reticulum